Protein responsible for preventing overstretching of cardiac muscle
1. Actinin
2. Nebulin
3. Myomesin
4. Titin

Correct answer: 4. Titin

Explanation: Titin is responsible for elasticity of muscle and preventing overstretching of cardiac muscle.